Anterior cruciate ligaments prevents
1. Anterior dislocation of femur
2. Posterior dislocation of femur
3. Anterior dislocation of tibia
4. Posterior dislocation of tibia

Correct answer: 3. Anterior dislocation of tibia

Explanation: CRUCIATE LIGAMENTS: Very thick and strong fibrous bands.Direct bonds of union between tibia and fibula. Maintain anteroposterior stability of knee joint. Anterior cruciate ligament:- Begins from anterior part of intercondylar area of tibia, runs upward, backward and laterally and is attached to the posterior part of medial surface of lateral condyle of femur. Taut during extension of knee. The anterior cruciate ligament is more commonly damaged than the posterior. It may be injured in violent hyperextension of knee or anterior dislocation of tibia. Posterior cruciate ligament:- Begins from posterior part of intercondylar area of tibia, runs upwards, forwards and medially and is attached to lateral surface of medial condyle of femur. Taut during flexion of knee. The posterior cruciate ligament is injured in posterior dislocation of tibia. Both these are supplied by middle genicular nerves and vessels. {Reference: BDC 6E pg no.143}